In a person, total cholesterol is 300 mg/dl. HDL is 25mg/dl, TG=150mg/dl. What is the level of LDL choelsterol?
1. 245
2. 95
3. 125
4. 55

Correct answer: 1. 245

Explanation: Friedwald equation: LDL = Total Cholestrol - HDL- VLDL VLDL = TG/5 = 150/5 = 30 LDL = 300-25-30 = 300-55 = 245 mg/dl Extra information: Ratio of TG to cholesterol in VLDL particles is 5:1. That is the basis for this formula. Friedwald formula is reasonably accurate if test results are obtained on fasting plasma and if the TG level does not exceed ~200 mg/dL; by convention, it cannot be used if the TG level is >400 mg/dL.